Benign tumour of the smooth muscle is called:
1. Leiomyoma
2. Rhabdomyoma
3. Fibroma
4. Angiomyoma

Correct answer: 1. Leiomyoma

Explanation: Ans: a (Leiomyoma) Ref:Robbins, 7th ed, p. 1322More about tumours of muscular origin.Smooth muscleI. Benign-Leiomyoma* Single* Multiple (AD trait)II. Malignant- LeiomyosarcomaM/E:- Spindle cells with cigar shaped nucleiSkeletal muscleRhabdomyosarcoma:* MC soft tissue tumour of childhood* MC site - head & neck region* Typical cell - tadpole or strap cells* Types: Embryonal, alveolar-, pleomorphic* MC type: Embryonal rhabdomyosarcoma* LC type: Pleomorphic rhabdomyosarcoma